Oral hypoglycemic which causes cholestatic jaundice-
1. Tolbutamide
2. Glibenclamide
3. Glipizide
4. Chlorpropamide

Correct answer: 4. Chlorpropamide

Explanation: Ans. is 'd' i.e., Chlorpropamide